Obstructive shock is due to -
1. Mechanical impediment to blood flow
2. Cardiac pump failure
3. Peripheral pooling of blood
4. Hypovolemia

Correct answer: 1. Mechanical impediment to blood flow

Explanation: Obstructive shock is a form of shock associated with physical obstruction of the great vessels or the heart itself.Pulmonary embolism and cardiac tamponade are considered forms of obstructive shock. Obstructive shock come under cardiogenic shock Robbins 9 th edition page no. 94